Drug used for narcoanalysis is
1. Atropine
2. Scopolamine
3. Propranolol
4. Naltrexone

Correct answer: 2. Scopolamine

Explanation: Narcoanalysis is therapy is used in the management of dissociation. Here the patient is taken to the semiconscious stage with the help of amobarbitol and diazepam and unconscious conflict is brought into the conscious and relieved from distress. * Ref.Kaplon and sadock, synopsis of psychiatry, 11 th edition, pg no. 945